The willful failure of parent or guardian to seek and follow-through with treatment necessary to ensure a level of oral health essential for adequate function and freedom from pain and infection is a definition of:
1. Munchausen syndrome by proxy
2. Emotional abuse
3. Parental corruption
4. Neglect

Correct answer: 4. Neglect

Explanation: Munchausen syndrome by proxy is a condition in which a person, usually a parent, presents factitious  symptoms and illnesses in a child, which may result in extensive testing and/or hospitalizations.
Examples of emotional abuse include denial of aﬀection, isolation, extreme threats, and corruption.
A  parent who knowingly and willingly does not seek care for a child who has pain, infection or  inadequate function is guilty of neglect.